Disinfection frees the surface from
1. Vegetative forms
2. Spore forms
3. Both of the above
4. None of the above

Correct answer: 1. Vegetative forms